Post-menopausal female with biopsy report as endometrial hyperplasia with atypia. Next line of management is:
1. Type 1 hysterectomy
2. Oral progestins
3. Mirena
4. Dilatation and curettage

Correct answer: 1. Type 1 hysterectomy

Explanation: ANS. ATypes of endometrial hyperplasia:1. Simple2. ComplexCauses of hyperplasia:1. PCOD2. Follicular cyst3. Granulosa and theca cell tumor4. Hormone replacement therapy.Chances of malignancy1. Simple hyperplasia without atypia: 1%.2. Simple hyperplasia with atypia: 8%.3. Complex hyperplasia without atypia: 3%.4. Complex hyperplasia with atypia: 29%.Treatment of hyperplasia with atypia1. For postmenopausal type 1/simple hysterectomy2. Young women, not completed family--progesterone (medroxy progesterone acetate) levonorgestrel-releasing intrauterine system (LNG-IUS) + biopsy 3 monthly.Treatment of hyperplasia without atypiaProgesterone (medroxy progesterone acetate) LNG-IUS + biopsy 3 monthly.